False about Haptens is
1. Haptens are high molecular weight molecules
2. Lack immunogenicity
3. Retain antigenicity
4. Complex haptens contain two or more epitopes

Correct answer: 1. Haptens are high molecular weight molecules

Explanation: Haptens are low molecular weight molecules.